Thymoma is associated with all except -
1. Graves disese
2. Hyper gamma globulinemia
3. Red cell aplasia
4. Thrombocytopenia

Correct answer: 2. Hyper gamma globulinemia